Which of the following condition doesn't present with cyanosis at birth:
1. TOF
2. Transposition of great vessels
3. PDA
4. Tricuspid atresia

Correct answer: 3. PDA

Explanation: Ans. C: PDA Left to right shunts doesn't present with cyanosis, though they are prone for frequent chest infections. The three main L-R shunts are: ASD VSD PDA Right to left shunt are characterized by the presence of cyanosis, which leads to polycythemia and clubbing.They may either have pulmonary stenosis or pulmonary arterial hypertension. R-L shunt with pulmonic stenosis: - TOF - Tricuspid atresia - Ebstein anomaly - Transposition of great vessels - Total anomalous pulmonary venous connection R-L shunt with pulmonary arterial hypertension: - Eisenmenger syndrome